Fetal hydantoin syndrome is seen if following drug is used in pregnancy ?
1. Phenytoin
2. Alcohol
3. Ethosuximide
4. Phenobarbitone

Correct answer: 1. Phenytoin